All nerves pass thorugh greater sciatic notch except ?
1. Superior gluteal nerve
2. Inferior gluteal nerve
3. Sciatic nerve
4. Obturator nerve

Correct answer: 4. Obturator nerve

Explanation: Ans. is 'd' i.e., Obturator nerve